Break bone fever
1. Typhoid fever
2. Dengue fever
3. Malignant fever
4. Malaria

Correct answer: 2. Dengue fever

Explanation: (B) Dengue fever > After an incubation period of 2 to 7 days, the typical patient experiences the sudden onset of fever, headache, retroorbital pain, and back pain along with the severe myalgia that gave rise to the colloquial designation "break-bone fever." There is often a macular rash on the first day as well as adenopathy, palatal vesicles, and scleral injection.> Illness may last a week, with additional symptoms usually including anorexia, nausea or vomiting, marked cutaneous hypersensitivity, and--near the time of defervescence--a maculopapular rash beginning on the trunk and spreading to the extremities and the face.> Epistaxis and scattered petechiae are often noted in uncomplicated dengue, and preexisting gastrointestinal lesions may bleed during the acute illness.